Ethical principles that require health professionals to fully inform their patients and protect their confidentiality is the principle of-
1. Justice
2. Autonomy
3. Veracity
4. Beneficence

Correct answer: 2. Autonomy

Explanation: Ethics is part of philosophy that deals with moral conduct and judgement. The major ethical principal that health care professions must be aware of are- 1) To do no harm (non-maleficence). 2) To do good (beneficence). 3) Respect for persons - includes 'autonomy' and 'informed consent' 4) Justice. 5) Veracity (truthfulness). 6) Confidentiality.